Which of the following estimates blood creatinine level most accurately
1. Jaffe method
2. Kinetic jaffe method
3. Technicon method
4. Enzyme assay

Correct answer: 4. Enzyme assay

Explanation: D i.e. Enzyme assay Gas chromatography - isotope dilution mass spectrometry (GC- IDMS) is considered the method of choice for establishing the true concentration of creatinine in serum because of its excellent specificity > HPLC > Enzyme assay > Alkaline picrate methodsQ.